A patient with obsessive - compulsive neurosis is more likely to develop :
1. Depression
2. Schizophrenia
3. Delusional disorders
4. Conversion syndrome

Correct answer: 1. Depression

Explanation: About one - third of patients with OCD have major depressive disorder and suicide is a risk for all patients with OCD.